In which stage of syphilis, nose is commonly involved in?
1. Primary
2. Secondary
3. Tertiary
4. Equally involved in all stages

Correct answer: 3. Tertiary

Explanation: Acquired type of syphilis Primary: It manifests as a primary chancre of the vestibule of nose. Secondary: It manifests as simple rhinitis with crusting and fissuring in the nasal vestibule. Diagnosis is suggested by the presence of mucous patches in the pharynx, skin rash, fever and generalised lymphadenitis. Tertiary: This is the stage in which the nose is commonly involved. Typical manifestation is the formation of a gumma on the nasal septum. Later the septum is destroyed both in its bony and cartilaginous parts. Perforation may also appear in the hard palate. There is offensive nasal discharge with crusts. Bony or cartilaginous sequestra are seen. Bridge of the nose collapses causing saddle nose deformity. Ref: Textbook of diseases of ENT, PL Dhingra, 7th edition, pg no. 175